Axillary artery occlusion affects all EXCEPT:
1. Post circumflex humeral.
2. Suprascapular artery
3. Subscapular artery
4. Superior thoracic artery

Correct answer: 2. Suprascapular artery

Explanation: Suprascapular artery "Suprascapular artery is a branch of thyrocervical trunk of the subclavian artery, not axillary artery" Branches of axillary artery: The branches of the axillary artery are superior thoracic, thoraco-acromial, lateral thoracic, subscapular, anterior and posterior circumflex humeral. The Suprascapular artery usually arises from the thyrocervical trunk of the subclavian artery